Norplant 1 is expected to be effective up to:
1. 2 years
2. 5 years
3. 7 years
4. 9 years

Correct answer: 2. 5 years

Explanation: Norplant 1 contains 6 silastic capsules of which each contains 36 microgram of levonorgestrel. It is expected to be effective for up to 5 years. Ref: Shaw's Textbook of Gynaecology, 12th Edition, Page 179.